Sulfonamides inhibit bacterial synthesis of folic acid by :
1. Uncompetitive inhibition
2. Allosteric inhibition
3. Competitive inhibition
4. Non competitive inhibition

Correct answer: 3. Competitive inhibition